A pt comes with stage III non seminomatous testicular tumor t/t of choice is :
1. Radiotherapy
2. Chemotherapy
3. Hormonal therapy
4. Surgery

Correct answer: 2. Chemotherapy

Explanation: Ans. is 'b' ie Chemotherapy Stage III is tumor spread beyond the retroperitoneal lymph node."Treatment is chemotherapy